Group A carbohydrate of Str. pyogenes cross reacts with human
1. Synovial fluid
2. Myocardium
3. Cardiac valves
4. Vascular intima

Correct answer: 3. Cardiac valves